Which of the following is not given in ophthalmia neonatorum:
1. Erythromycin locally
2. Tetracycline 1%
3. Penicillin locally
4. Silver nitrate

Correct answer: 4. Silver nitrate

Explanation: D i.e. Silver nitrate 1% AgNO3 (Crede's prophylaxis) used to prevent gonococcal opthalmia in new born is not used now as it leads to opthalmia neonatorum. It is important to note here that 1% AgNO3 is used for prophylaxis of gonococcal opthalmia, and it has got no role in treatment of opthalmia neonatorum. In fact it is a cause of opthalmia neonatorum. If Ophthalmia Neonatorum is confirmed then the treatment is started on the lines of Gonorrhoeal infection and the treatment modified on the microbiological studies and clinical response.